Which one of the following is a good index of the serverity of an acute disease
1. Cause specific death rate
2. Case fatality rate
3. Standardized mortality ratio
4. Five year survival

Correct answer: 2. Case fatality rate

Explanation: ref: Park's 23rd edition pg 58 Case fatality rate measures the killing power of a disease, for acute infectious diseases like food poisoning, cholera, measles. it is simply the ratio (it is not a RATE) of deaths to cases.